All of the following surgeries are done in SUI except
1. Shirodkar sling
2. Aldridge sling
3. Kellys stitch
4. Marshall Marchetti Krantz

Correct answer: 1. Shirodkar sling

Explanation: Ans. is a, i.e. Shirodkar slingSurgeries done for SUI--Earlier* Aldridge sling* McGuire sling* Kelly's stitch* Marshall Marchetti Krantz surgerySurgeries done for SUI--Now-a-daysBest - TOT2nd Best - TVT3rd Best - Burch colposuspension